Abnormal a-fetoprotein is seen in :
1. Trisomy 18
2. Twin pregnancy
3. Neural tube defect
4. All of the above

Correct answer: 4. All of the above

Explanation: All of the above